True statements regarding falciparum malaria are all the following durgs except -
1. Haemoglobinuria and renal failure
2. Hypoglycemia
3. Cerebral malaria
4. adequately prevented with chroloquine therapy

Correct answer: 4. adequately prevented with chroloquine therapy